A 5-year old child is assessed to have developmental age of one year. His developmental quotient would be-
1. 100
2. 80
3. 60
4. 20

Correct answer: 4. 20

Explanation: Ans. is 'd' i.e., 20